Tumor lysis syndrome is associated with all of he following laboratory feature except-
1. Hyperkalemia
2. Hypercalcemia
3. Hyperuricemia
4. Hyperphosphatemia

Correct answer: 2. Hypercalcemia

Explanation: Ans. is 'b' i.e., Hypercalcemia Tumour lysis svndrome|Destruction of large number of rapidly proliferating cellsHyperuricemiaHyperphosphatemiaHyperkalemia|||Uric acid pptCauses reciprocalArrhythmiasin tubulesdecrease in calcium || Renal failure-Hypocalcemia